What is the most common malignancy affecting spleen
1. Angiosarcoma
2. Hamartoma
3. Secondaries
4. Lymphoma

Correct answer: 4. Lymphoma

Explanation: The most common neoplastic tumour is lymphoma(Hodgkin) and the most common benign tumour is a hemangioma, rest like angiosarcoma, secondaries and hamartomas are rare tumours of the spleen. Bailey and love's 24 the edition page no. 1091